False statement regarding Hodgkin's disease is:
1. CNS is the commonest site of involvement
2. Mediatinal involvement is common in nodulosclerosis type
3. Characteristic cell is a Reed-Sternberg cell
4. Increase in eosinophils and plasma cells

Correct answer: 1. CNS is the commonest site of involvement

Explanation: Ans. A: CNS is the commonest site of involvement The most common symptom of Hodgkin's is the painless enlargement of one or more lymph nodes. The nodes may also feel rubbery and swollen when examined. The nodes of the neck and shoulders (cervical and supraclavicular) are most frequently involved (80-90% of the time, on average). The lymph nodes of the chest are often affected Central nervous system (CNS) involvement by Hodgkin lymphoma (HL) is rare.